Which is false about Hurler syndrome:
1. X linked
2. Intellectual disability
3. Joint stiffness
4. Coarse facial features

Correct answer: 1. X linked

Explanation: Ans. (a) X linkedRef: Robbiris pathology 9th ed. /155* HURLER syndrome is autosomal recessive while HUNTER SYNDROME is X linked recessive* HURLER syndrome is marked by progressive deterioration, hepatosplenomegaly, dwarfism and unique facial features. There is a progressive intellectual disability, with death frequently occurring by the age of 10 years* Hurler is due to defective IDUA gene, which has been mapped to the 4pl6.3 site on chromosome 4. The gene is named IDUA because of its iduronidase enzyme protein product.